Central mystagmus ?
1. Suppressed by optic fixation
2. More than 1 minute duration
3. Fixed direction
4. Fatiguable

Correct answer: 2. More than 1 minute duration

Explanation: Ans. is `b' i.e., More than 1 minute duration